Lesch - Nyhan Syndrome - associated with
1. Purine necleoside phosphorylase deficiency
2. Adenosine deaminase deficiency
3. Hypoxanthine - guanine phosphoribosyl transferase defect
4. Xanthine oxidase deficiency

Correct answer: 3. Hypoxanthine - guanine phosphoribosyl transferase defect

Explanation: It is X-linked inherited disorder of purine metabolismDeficiency of HGPRTase, so the rate of salvage pathway is decreased resulting in the accumulation of PRPP and decreased level of inhibitory purine nucleotide Disease is characterized by self-mutilation, intellectual disability excessive uric acid and nephrolithiasis Ref: DM Vasudevan, 7th edition, page no: 568